The antidote for benzodiazepine toxicity is-
1. Flumazenil
2. Naloxone
3. Naltrexone
4. Dimercaprol

Correct answer: 1. Flumazenil

Explanation: Ans. is 'a' i.e., Flumazenil